Which of the following best defines the "Saccade":
1. Voluntary slow eye movements
2. Involuntary slow eye movement
3. Abrupt, involuntary slow eye movements
4. Abrupt, involuntary rapid eye movements

Correct answer: 4. Abrupt, involuntary rapid eye movements

Explanation: Ans. Abrupt, involuntary rapid eye movements